Most common sinus involved in acute sinusitis
1. Ethmoid
2. Maxillary
3. Sphenoid
4. Frontal

Correct answer: 2. Maxillary

Explanation: The alveolar process of the maxillae holds the upper teeth and is referred to as the maxillary arch.
Each maxilla attaches laterally to the zygomatic bones (cheekbones).
Each maxilla assists in forming the boundaries of three cavities: the roof of the mouth. the floor and lateral wall of the nasal cavity.